What is true regarding congenital hypertrophic pyloric stenosis :
1. More common in girls
2. Hypochloremic alkalosis
3. Hellers myotomy is the procedure of choice
4. Most often manifests at birth

Correct answer: 2. Hypochloremic alkalosis

Explanation: Hypochloremic alkalosis develops due to vomiting. Ref: Text Book of Pediatrics By Nelson, 19th Edition, Page 1274; Bailey and Love's Short Practice of Surgery, 22nd Edition, Page 674 and 23rd Edition, Page 899.